Mass movements are often stimulated after a meal by distention of the stomach (gastrocolic reflex) and distention of the duodenum (duodenocolic reflex). Mass movements often lead to which of the following?
1. Bowel movements
2. Gastric movements
3. Haustrations
4. Esophageal contractions

Correct answer: 1. Bowel movements

Explanation: Mass movement is a modified type of peristalsis in the colon,propelling the fecal material in this segment en masse further down the colon and force feces into the rectum. When the walls of the rectum are stretched by the feces, the defecation reflex is initiated and a bowel movement follows when this is convenient.